Thrombotic thrombocytopenic purpura is a syndrome characterized by:
1. Thrombocytosis, anemia, neurologic abnormalities, progressive renal failure and fever.
2. Thrombocytopenia, anemia, neurologic abnormalities, progressive hepatic failure and fever
3. Thrombocytosis, anemia neurologic abnormalities, progressive renal failure and fever
4. Thrombocytopenia, anemia, neurological abnormalities, progressive renal failure and fever

Correct answer: 4. Thrombocytopenia, anemia, neurological abnormalities, progressive renal failure and fever

Explanation: Answer is D (Thrombocytopenia, anemia, neurological abnormalities, progressive renal failure and fever) Thrombotic Thrombocytopenic Purpura (TTP) is characterized clinically by the Pentad of Microangiopathic Hemolytic Anemia, Thrombocytopenia. Decreased Renal Function. Disturbed Neurological function and Fever.